'Itch is disease' is true for ?
1. Atopic dermatitis
2. Insect bites
3. Seborrheic dermatitis
4. Tinea cruris

Correct answer: 1. Atopic dermatitis

Explanation: A i.e. Atopic dermatitis